Which of the following structures is seperated from the left kidney by a peritoneal layer?
1. Pancreas
2. Jejunum
3. Splenic flexure
4. Splenic vessels

Correct answer: 2. Jejunum

Explanation: Jejunal loops are seperated from the anterior surface of the left kidney by a peritoneal layer. Among the anterior relations of the left kidney, intraperitoneal structures are seperated from the kidney by a peritoneal layer. This is because kidneys are retroperitoneal in location The anterior relations of the left kidney include Left suprarenal gland (retroperitoneal) Stomach (intraperitoneal) Pancreas (retroperitoneal) Jejunum (Intraperitoneal) Spleen (intraperitoneal) Splenic vessels(retroperitoneal) Splenic flexure and the begining of the descending colon ( retroperitoneal) Ref: Gray's Anatomy 41st edition Pgno: 1240